Risk factor for development of gastric Ca :
1. Blood group O
2. Duodenal ulcer
3. Intestinal hyperplasia
4. Intestinal metaplasia type III

Correct answer: 4. Intestinal metaplasia type III